Sclera is weakest at the level of:
1. Macula
2. Equator
3. Insertion of extraocular muscles
4. Ora serrata

Correct answer: 3. Insertion of extraocular muscles

Explanation: Ans. Insertion of extraocular muscles